Which of the following is not a part of Marzouk’s classification?
1. Exploratory instruments
2. Non cutting instruments
3. Restoration instruments
4. Instruments to remove tooth structure

Correct answer: 2. Non cutting instruments

Explanation: G.V. Black among his many contributions to modern dentistry, is credited with the first acceptable nomenclature for and classification of hand instruments. His classification system enabled both dentists and manufacturers to communicate more clearly and effectively in regard to instrument design and function.
Hand instruments used in the dental operatory may be categorized as:

Cutting (excavators, chisels and others). 
Noncutting (amalgam condensers, mirrors, explorers, probes).

Marzouk classified instruments of operative dentistry into:

Those used for exploration.
Those used for removal of tooth structure.
Those used for restoration of teeth.

Ref: Sturdevant's art and science of operative dentistry. 4th edition page 310
       Operative dentistry modern theory and practice Marzouk page 57